Dead bone is seen on the X-ray as:
1. More radiolucent
2. More radiopaque
3. With osteophytes growing out
4. Soap-bubble appearance

Correct answer: 2. More radiopaque